Height of contour of tooth is determined by
1. Survey line
2. Non undercut area
3. Undercut area
4. None of the above

Correct answer: 1. Survey line